A 10-year-old boy presents with nasal obstruction and intermittent profuse epistaxis. He has a firm pinkish mass in the nasopharynx. All of the following investigations are done in this case except-
1. X - ray base of skull
2. Carotid angiography
3. CT scan
4. Biopsy

Correct answer: 4. Biopsy

Explanation: Biopsy can cause profuse bleeding, therefore should be avoided.
Investigations used for NFA are :-


Soft tissue lateral film of nasopharynx
X-ray paranasal sinus and base of skull
Contrast CT of skull (investigation of choice)
MRI
Carotid angiography